Most com mon cause of lu ng abscess ?
1. Staph aureus
2. Oral anaerobes
3. Klebsiella
4. Tuberculosis

Correct answer: 2. Oral anaerobes

Explanation: Ans. is 'b' i.e., Oral Anaerobes o According to Harrison# Most nonspecific lung abscesses are presumed to be due to anaerobic bacteria.